Malaria card test for P. Falciparum detects
1. LDH
2. Aldolase
3. Histidine rich protein
4. None of the above

Correct answer: 3. Histidine rich protein

Explanation: HRP - 2 based for P. Falciparum.
LDH & aldolase based for other plasmodium.